The base paste of the condensation poly silicone has a low molecular weight dimethyl siloxane with a terminal-group
1. Mercaptan group
2. Hydroxyl group
3. Silane group
4. Vinyl group

Correct answer: 2. Hydroxyl group